A child presented with history of ingestion of some unknown plant and developed mydriasis, tachycardia, dry mouth, warm skin and delirium. Which of the following group of drugs is likely to be responsible for the symptoms of this child ?
1. Anticholinergic
2. Sympathomimetic
3. Opioid
4. Benzodiazepine

Correct answer: 1. Anticholinergic